Lung compliance is increased in
1. The presence of intra-alveolar fluid
2. Acute respiratory distress syndrome
3. Idiopathic pulmonary fibrosis
4. Emphysema

Correct answer: 4. Emphysema

Explanation: Compliance is a measure of distensibility 1 static compliance(compliance when lungs at rest) Causes of decreased static compliance : a) interstitial fibrosis b)atelectasis c)pneumonia d) pulmonary edema e) ARDS 2 dynamic compliance:compliance with airway resistance Decreased in Broncho spasm like asthma.